Why is a child abler to breathe and suckle at the same time
1. Short soft palate
2. Short tongue
3. High placed larynx
4. Small pharynx

Correct answer: 3. High placed larynx

Explanation: High placed larynx A baby can suck milk into mouth and because of its palate its mouth is separated from its nasal cavity so white it is sucking in milk it can also breathe through its nose. When the infant has to swallow the soft palate rapidly moves upward to close off the hack of the nasal air tube. At the same time, the epiglottis closes off the larynx and guides the milk into the esophagus (food tube). Because of these factors infants can breath and swallow in quick succession. - Its lumen is short and. funnel shaped and disproportionately narrower than that of adult. - It lies higher in the neck than the adult larynx. -It rest the upper border of the infant epiglottis is at the level of the second or third cervical vertebrae. - When larynx is elevated it reaches the level of first cervical vertebrae. - This high position enables an infant to use its nasal airway to breathe while sucking.